Latte's crust of blood stain is used to detect:
1. Nature of stain
2. Detection species
3. Blood group
4. Secretor status

Correct answer: 3. Blood group

Explanation: Ans. Blood group